Base of the heart is formed by:
1. RA
2. RV
3. LA
4. LV

Correct answer: 3. LA

Explanation: Ans. C LARef: BDC, 6th ed. vol. I pg. 253; Snell's Anatomy, pg. 137* Right ventricle is located between RA and LV. It doesn't form any boundary of heart* Right atrium forms the right border* Left atrium is located posteriorly. Forms the base of heart* Left ventricle forms the left border. Apex is formed by LV.